False about Japanese encephalitis is:
1. Transmitted by Culex mosquitoes
2. Overhead tanks serve as breeding site
3. Pigs are amplifiers
4. Primary dose of vaccine consists of two dose

Correct answer: 2. Overhead tanks serve as breeding site

Explanation: Overhead tanks serve as breeding site Japanese encephalitis Is a mosquito borne encephalitis caused by a group B arbovirus (Flavivirus). It is a zoonotic disease i.e infecting mainly animals and accidentally man. The disease is transmitted to man by the bite of infected mosquitoes. Man is an incidental 'dead-end' host. Man to man transmission has not so far been recorded. Available evidences indicates that the basic cycles of transmission are: a)Pig -4 Mosquito Pig b)Ardeid bird --> Mosquito --> Ardeid Bird Culex mosquitoes are its main vectors. C. tritaeniorhynchus has been implicated as the most important vector in South India. It breeds in the rice paddy fields, shallow ditches and pools. These mosquitoes are zoophilic, feeding primarily on vertebrate hosts. Not all individuals bitten by infected mosquitoes develop disease. The ratio of overt disease to inapparent infection varies from 1:300 to 1:1000. Thus cases of encephalitis represent only the tip of the iceberg compared to the large no. of inapparent infections. Case fatality rate varies between 20-40% Other relevant important facts Pigs are the major vertebrate hosts of JE* Infected pigs do not manifest any overt symptoms of illness but circulate the virus. Pigs are considered as amplifiers of the virus Cattle and buffaloes may also be infected with the JE virus; although they may not be natural hosts of JE virus, they act as mosquito attractants. Among domestic animals, horses are only known so far to show signs of encephalitis due to JE virus*. Vaccination Vaccination of the population at risk is recommended. Currently there are three types of JE vaccines in large-scale use: a. The mouse brain-derived inactivated vaccine b.The cell culture-derived inactivated vaccine c. The cell culture-derived live attenuated vaccine based on SA 14-14-2 strain of the JE virus Immunization schedule: The mouse brain-derived inactivated vaccine - When immunizing children 1-3 years of age 2 primary doses of vaccine are given 4 weeks apart. Boosters are given after 1 yr and then subsequently at 3 years interval, until the age of 10-15 yrs. This schedule provides protection throughout childhood. - The vaccine is best used in the inter-epidemic period. The cell culture-derived live attenuated vaccine - Only a single dose of vaccine is needed, followed by a single booster after 1 yr. - This vaccine is an integral part of Universal Immunization programme in 11 endemic districts of UP, Assain, West Bengal and Karnataka. Vaccination of travellers: - For travellers aged more than one year, visiting rural areas of endemic countries, vaccination is required. - The schedule is of 3 primary doses at days 0, 7 and 28 (alternative schedule is of 2 primary doses 4 weeks apart). - If continued protection is required, boosters can be given after 1 yr and then after every 3 years. Vaccination is not recommended for children before the age of 6 months as infants are likely protected by maternal antibodies. Also Know